Which among the following is not known to cause delay in algor mortis?
1. Pontine hemorrhage
2. Asphyxial death
3. Septicemia
4. Burns

Correct answer: 4. Burns

Explanation: Algor mortis is the cooling of body after death. Pontine hemorrhage, tetanus, asphyxial death, septicemia, sunstroke etc are causes for post mortem caloricity. In case of burns, there is a loss of heat due to evaporation of fluids from the raw surface and hence causes | algor mortis. Ref: Textbook of Forensic Medicine and Toxicology by Narayan Reddy, Edition 23, Page - 124